Plasma anion gap is increased in?
1. Diabetic Ketoacidosis
2. A 2
3. Fistula
4. Uretero-sigmoid ostomy

Correct answer: 1. Diabetic Ketoacidosis

Explanation: Option B, C, D- N Anion gap acidosis causes : ' DR. FUSE (mnemonic) Diarrhea A 1,2,4 Fistula Ureterosigmoidostomy | Anion gap acidosis causes : 'KULT' (mnemonic) Ketoacidosis Uremia (acute kidney injury, acute tubular Necrosis) Lactic acidosis Toxins